Monetary terms involve
1. Cost benefit analysis
2. Network analysis
3. Slow pathway
4. All

Correct answer: 1. Cost benefit analysis

Explanation: Ref: 25th Ed K.Park's Textbook Of Preventive and Social Medicine